A 6 years old child belonging to Punjabi family with past history of blood transfusions presented with hemoglobin-3.5 gm/dL, MCV-30 fL. Peripheral smear findings of microcytic hypochromic anemia with target cell and reduced osmotic fragility. The probable diagnosis of patient:
1. Alpha thalassemia
2. Beta thalassemia
3. Sickle cell anemia
4. G6PD deficiency

Correct answer: 2. Beta thalassemia

Explanation: - Peripheral smear findings of microcytic hypochromic anemia with target cell and reduced osmotic fragility with severe transfusion requiring anemia is suggestive of Beta thalassemia. OTHER OPTIONS: Alpha thalassemia - Doesn't present with severe anemia requiring transfusion Sickle cell anemia - features of sickle cell crisis like hand foot syndrome/ priapism etc are not mentioned in question G6PD deficiency - No history of oxidative stress is mentioned in the question.